Anteroposterior stability of eyeball is provided by all except –
1. Suspensory ligament of the eye ball
2. Superior oblique
3. Superior rectus
4. Orbital fat

Correct answer: 1. Suspensory ligament of the eye ball

Explanation: Suspensory ligament provides inferior stability to eyeball.